Apoptosis is?
1. Internally controlled, programmed cell death
2. Externally controlled, programmed cell death
3. Internally controlled, programmed enzyme degradation
4. Externally controlled, programmed karyolysis

Correct answer: 1. Internally controlled, programmed cell death

Explanation: Ans. (a) Internally controlled, programmed cell deathRef: Robbin's pathology 9th ed. /52* Apoptosis is internally controlled, programmed cell deathSalient Features of Apoptosis:* No inflammation* Cell shrinkage* Formation of apoptotic bodiesExample* PhysiologicahEmbryogenesis, Organogenesis, Men- struation* Pathological: Acute viral hepatitis- Councilman bodies